In psychoanalytic terms, obsessive-compulsive disorder is fixed at -
1. Oedipal stage
2. Genital stage
3. Oral stage
4. Anal stage

Correct answer: 4. Anal stage

Explanation: OCD results from a regression from the oedipal phase to anal phase of psychosexual development, i.e. In OCD fixation occurs in anal stage (Note - Regression is reversion from higher level of development to lower level of development).